All of the following are causes of Asymmetric Moro's reflex except:
1. Erb's palsy
2. Fracture clavicle
3. Down syndrome
4. Shoulder joint dislocation

Correct answer: 3. Down syndrome

Explanation: Down syndrome- not causes Asymmetric Moro's reflex Important causes of Asymmetric Moro's reflex include: Neurological causes: Erb's palsy, Congenital hemiplegia Skeletal causes: Fracture clavicle, Shoulder joint dislocation Erb's Palsy Asymmetric Moro's reflex Injury to the upper trunk C5-C6 nerves arise most commonly from shoulder dystociaduring a difficult birth. Exaggerated Moro's reflex seen in- Stage 1 of hypoxic ischemic encephalopathy Absent Moro's reflex seen in- Stage 3 of hypoxic ischemic encephalopathy Down syndrome Acute bilirubin encephalopathy